Pseudo Nikolsky sign is seen in
1. Pemphigus
2. Lupus vulgaris
3. Toxic epidermal necrolysis
4. Leischmaniasis

Correct answer: 3. Toxic epidermal necrolysis

Explanation: Nikolsky sign is present in disorders with acantholysis where lateral pressure on normal skin around blister results in seperation of layers of epidermis and extension of blister. Ex: Pemphigus.
Pseudo Nikolsky sign is seen in Toxic Epidermic Necrolysis (TEN) where epidermal seperation is due to death of epidermal cells.